In computed tomography (CT), the attenuation values are measured in Hounsfield units (HU). An attenuation value of '0' (zero) HU corresponds to:
1. Water
2. Air
3. Very dense bone structures
4. Fat

Correct answer: 1. Water

Explanation: Ans. Water